Which of the following cell types is not a target for initiation and maintainance of HIV infection
1. CD4 T cell
2. Macrophage
3. Dendritic cell
4. Neutrophils

Correct answer: 4. Neutrophils

Explanation: Ref Robbins 8/e p238; 9/e p248 Neutrophils are not the target for HIV .cells with CD4 marker.only T helper cell ..are the target to HIV infection